Hutchinson's rule is related to ?
1. Herpes simplex keratitis
2. Mycotic keratitis
3. Herpes zoster ophthalmicus
4. None

Correct answer: 3. Herpes zoster ophthalmicus

Explanation: Ans. is 'c' i.e., Herpes zoster ophthalmicus Hutchinson's rule : - In herpes zoster ophthalmicus, involvement of the tip of nose, supplied by external nasal nerve (a terminal branch of nasociliary nerve), signifies increase risk of ocular involvement (uveitis).